Low renin is seen in A/E -
1. Essential hypertension
2. Conn's syndrome
3. Renovascular hypertension
4. Liddle syndrome

Correct answer: 3. Renovascular hypertension

Explanation: Ans. is 'c' i.e., Renovascular hypertension [Ref: Harrison 18th/e p. 2048\o Causes of low renin hypertension are as fellows :-o Low renin essential hypertension (LERH)o Primary aldosteronismConn s syndromeGlucocorficoid remediable (GRH/Familial hperaldosteronism)Familial type IIo Liddle syndromeo Mineralocorticoid receptor mutationo Apparent mineralocorticoid excesso Glucocorticoid resistanceo Congenital adrenal hyperplasiaLow renin essential primary hypertensiono Renal sodium profiling in patients with essential hypertension reveals that the plasma renin activity is increased in 15%, normal in 60% and reduced in approxmately 15?/o.Hypertension leads to hieher perfusion pressure at the juxtaglomerular cellso Higher perfusion pressure at JG cells leads to low renin levels.o There is no evidence that plasma renin activity' profiling is useful for determining the response to particular antihypertensive agents in patients with essential hypertension.o Therefore plasma renin activity is not routinely measured in the assessment and management of patients with essential hypertension.